Type I Anorexia nervosa is characterized by
1. Avoidance of food, restrictive type of food intake, weight less than normal
2. Avoidance of food, binge eating and purging episodes, weight less than normal
3. Binge eating and no compensation, over weight
4. None of the above

Correct answer: 1. Avoidance of food, restrictive type of food intake, weight less than normal

Explanation: Type I Anorexia nervosa or Restrictive subtype is seen in 50% of the cases, characterized by avoidance of food & highly restricted food.